Spironolactone is the first drug to be given for?
1. Cirrhotic edema
2. Cardiac edema
3. Idiopathic edema
4. Nutritional edema

Correct answer: 1. Cirrhotic edema

Explanation: Ans. (a) Cirrhotic edemaRef: Goodman llthed ch-28